Geographic lytic lesions in vault of skull with bevelled edges are seen with
1. Multiple myeloma
2. Eosinophilic granuloma
3. Hyperparathyroidism
4. Reticular cell CA

Correct answer: 2. Eosinophilic granuloma

Explanation: B i.e. Eosinophillic Granuloma Features Disorder Geographic lytic skullQ Eosinophillic granuloma/Hand? Vertebrae planaQ Schuller Christian ds/ Histocytosis